All of the following are halogenated anaesthetic agents except :
1. Halothane
2. Propofol
3. Enflurane
4. Isoflurane

Correct answer: 2. Propofol